Which of the following is not a complication of small incision cataract surgery
1. Endophthalmitis
2. Hyphaema
3. Cystoid macular edema
4. Submacular hemorrhage

Correct answer: 4. Submacular hemorrhage

Explanation: Submacular hemorrhage is not a complication of SICS Complications of ECCE/SICS/Phacoemulsification A. Retrobulbar hematoma/ scleral perforation by block B. Uveitis/Hyphaema/ glaucoma syndrome C. Iris shaffing and iridodialysis D. Corneal decompensation & Descemet's membrane detachment E. Posterior capsular rupture F. Cystoid macular edema and retinal detachment G. Expulsive choroidal hemorrhage H. After cataract I. Endophthalmitis/ Toxic anterior segment syndrome